According to 'rule of 9% perineum burns constitute:
1. 1% burns
2. 9% bums
3. 18% burns
4. 27% burns

Correct answer: 1. 1% burns

Explanation: Ans. 1% burns